All the following show hot spot on Bone Scan except?
1. Multiple Myeloma
2. Fibrous Dysplasia
3. Pagets Disease
4. Osteomyelitis

Correct answer: 1. Multiple Myeloma

Explanation: Bone scan: Done with: Tc99m-MDP (Methylene diphosphonate) Tc99m Medronate Hot uptake on bone scan indicates osteoblastic activity Cold uptake on bone scan indicates osteoclastic activity Hot uptake of bone scan seen with: Osteoblastic metastasis/ prostatic metastasis Paget's disease Fibrous dysplasia Osteoarthritis Osteomyelitis (3 phase bone scan) Cold uptake of bone scan is seen in: Multiple myeloma (not preferred for bone scan) Focal cortical defects